Concurrent flexion of both wrists in response to electrical stimulation is characteristic of which area of the nervous system?
1. Postcentral gyrus
2. Vestibulospinal tract
3. Dentate nucleus
4. Supplementary motor cortex

Correct answer: 4. Supplementary motor cortex

Explanation: The supplementary motor area tends to produce bilateral motor responses when stimulated. The other areas would tend to produce unilateral responses.